Deficiency of the ' Intrinsic factor of Castle ' causes-
1. Megaloblastic anemia
2. Pernicious anemia
3. Cooley's anemia
4. Aplastic anemia

Correct answer: 2. Pernicious anemia

Explanation: Pernicious anemia is a chronic disease resulting from deficiency of Intrinsic factor leading to impaired absorption of Vitamin B12. Megaloblastic anemia is due to deficiency of Cobalamin/folate. Reference: Atlas and text of Hematology, 3rd edition, pg:102. Exam preparatory manual for UGs by Ramdas Nayak page no: 259